Internal podalic version is done under...... anaesthesia :
1. Pudendal block
2. IV calmpose
3. Spinal
4. General

Correct answer: 4. General

Explanation: General